Non competitive inhibition has
1. Decreased km and decreased Vmax
2. NORMAL km and decreased Vmax
3. Decreased km and increased Vmax
4. normal km and increased Vmax

Correct answer: 2. NORMAL km and decreased Vmax

Explanation: ref : satyanaryana 7th ed